Which of the following statements is false about Acyclovir-
1. It inhibits DNA synthesis and viral replication
2. It is effective against influenza
3. It has low toxicity for host cells
4. Renal impairment necessitates dose reduction

Correct answer: 2. It is effective against influenza

Explanation: Ans. is 'b' i.e., It is effective against influenza Acyclovir o It is a deoxygunosine analogue - inhibits DNA synthesis by ? Inhibits herpes virus DNA polymerase competitively. Gets incorporated in viral DNA and stops lengthening of DNA strand. The terminated DNA inhibits DNA polymerase irreversibly. o It is preferentially taken up by the virus infected cells. Because of selective generation of the active inhibitor in the virus infected cells and its greater inhibitory effect on viral DNA synthesis, acyclovir has low toxicity for host cells. o It is active against herpes group of virus (HSV-l> HSV-2 > VZV = EBV. CMV is not inhibited). o Acyclovir is primarily excreted unchanged in urine, both by glomerular filtration and tubular secretion. Renal impairment necessitates dose reduction.